Old age pigment is -
1. Hemosiderin
2. Melanin
3. Lipofuscin
4. Bilirubin

Correct answer: 3. Lipofuscin

Explanation: Ans. is 'c' i.e., Lipofuscin It is an insoluble pigment, also known as lipochrome and wear or tear or aging pigment. Lipofuscin is not injurious to the cell or its functions.Refer to APPENDIX-90 in volume-3 of this book